Amount of previously unrecognized disease which is diagnosed by screening effort, is -
1. Yield
2. Sensitivity
3. Specificity
4. PPV

Correct answer: 1. Yield

Explanation: Yield of the screening test: Is the amount of previously unrecognized disease that is diagnosed as a result of screening effort.
Yield of the screening test depends on:
Sensitivity of screening test.
Specificity of screening test.
Prevalence of the disease in population.
Participation of individuals in the detection programme.
Yield of a screening test increases by: selecting high risk population for screening.